IOC for stroke is
1. NCCT
2. X-ray
3. MRI
4. CECT

Correct answer: 1. NCCT

Explanation: IOC FOR STROKE is NCCT as it differentiates hemorrhagic stroke from ischemic stroke The initial investigation in all cases of Cerebrovascular accidents should be NCCT IOC FOR ISCHEMIC STROKE/ACUTE INFARCT is DWI-MRI IOC for Head trauma is NCCT IOC For Acute SAH IS NCCT